Which of the following is not a difference between Fluorescein Angiography(FA) & Indocyanine Green(ICG) angiography
1. Dyes used
2. Choroidal capillaries are better seen in ICG
3. FA is more sensitive for occult CNVM
4. The wavelength used for viewing is different

Correct answer: 3. FA is more sensitive for occult CNVM

Explanation: ICG is more sensitive to occult CNVM (Choroidal neovascular membranes) not FA. 1. FLUORESCEIN ANGIOGRAPHY 5 ml of 20 % Fluorescein dye is injected in antecubital vein & serial photographs are taken 2. INDOCYANINE GREEN ANGIOGRAPHY (ICG) New angiography technique to diagnose choroidopathies like occult ARMD, Central Serous Retinopathy(CSR) Polypoidal choroidopathy. Choroidal capillaries are better seen in ICG. In ICG, the optic nerve head is hypo-fluorescent. It is hyperfluorescent on FA. FA ICG